The lower angle of scapula lies at the level of:
1. T5
2. T10
3. T7
4. T8

Correct answer: 3. T7

Explanation: When the upper limb is in the anatomical position, the:Superior angle of the scapula lies at the level of the T2 vertebra.Medial end of the root of the scapular spine is opposite the spinous process of the T3 vertebra.Inferior angle of the scapula lies at the level of the T7 vertebra, near the inferior border of the 7th rib and 7th intercostal space.The medial border of the scapula is palpable inferior to the root of the spine of the scapula as it crosses the 3rd-7th ribs.The lateral border of the scapula is not easily palpated.